Superior oblique muscle is supplied by :
1. Occulomotor nerve
2. Trochlear nerve
3. Abducent nerve
4. Trigeminal nerve

Correct answer: 2. Trochlear nerve

Explanation: B i.e. Trochlear